Seton used in fistula in anosurgery is draining seton and -
1. Cutting seton
2. Dissolvingseton
3. Dissectingseton
4. Fibrosing seton

Correct answer: 1. Cutting seton

Explanation: Ans. is 'a' i.e., Cutting seton Types of setonsCutting setonSilk/prolene/monofilament nylon.Invented by hippocretes.Aka 'tight seton'Gradually/slowly cuts through the sphincter muscle - which is replaced by fibrosis.Draining setonAka loose setonUsually a rubber sling.Purpose is drainage of collected pus.